All the thenar muscles of the hand are supplied by the median nerve except
1. Opponens pollicis
2. Abductor pollicis brevis
3. Adductor pollicis
4. Flexor pollicis brevis

Correct answer: 3. Adductor pollicis

Explanation: Adductor pollicis is supplied by the ulnar nerve and this is the basis of the Froment's sign.